Frey syndrome is associated with surgery of?
1. Parotid
2. Pitutary
3. Parathyroid
4. Adrenal

Correct answer: 1. Parotid

Explanation: Frey syndrome: Aka gustatory sweating Universally seen in parotid surgery Damage to major salivary gland innervation Inappropriate regeneration of parasympathetic fibers Sweating and erethema in surgical bed with seating Test- starch iodine test for diagnosis Rx- symptomatic